Wlthdrawl bleeding occurs whon progestlng admfnisterd contfnuously :
1. Estrogen concentration is sutticient
2. Sltructural abnormality in the pelvis
3. Associated with endocrine disorder
4. Atrophic endometrium

Correct answer: 1. Estrogen concentration is sutticient

Explanation: Estrogen concentration is sutticient